What is false regarding DEC ?
1. DEC is excreted in urine
2. DEC is microfilaristatic
3. DEC is metabolised in liver
4. Most important action of DEC appears to alteration of organelle membrane of Mf promoting cell death

Correct answer: 2. DEC is microfilaristatic

Explanation: Ans. is 'b' i.e., DEC is microfilaristatic DEC is the first drug used for filariasis; absorbed after oral ingestion; metaboized in liver and excreted in urine. It is microfilaricidal. Most important action of DEC appears to alteration of organelle membrane of Mf promoting cell death. It is used in filariasis and tropical pulmonary eosinophilia.